Abortion stick used in criminal abortion causes abortion by the mechanism of -
1. Uterine contraction
2. Stimulation of uterine nerves
3. Uterine infection & necrosis
4. Placental separation

Correct answer: 1. Uterine contraction

Explanation: Ref: Synopsis of forensic medicine and toxicology (K.S.Narayan Reddy) 28th edition, page no. 214 Abortion Stick: This is a thin wood or bamboo stick, from 12 to 13 cm long. This stick is wrapped round at one end or for a greater portion of its length with cotton-wool or a piece of cloth, and socked with juice of marking nut, calotropis, abrus precatorius, asafoetida or paste made of arsenious oxide, arsenic sulphate, red lead etc. It is introduced into the vagina or is of uterus by untrained midwives, and retained there till uterine contraction begin. The uterus contract, cervix dilate and foetus gets out.